Shortest acting NDMR
1. Succinyl choline
2. Rapac uroni um
3. Atracurium
4. Pancuronium

Correct answer: 2. Rapac uroni um

Explanation: Rapacuronium Among the given options Rapacuronium is the shortest ating drug. Rapacuronium has been withdrawn from the market because it produces intense bronchospasm in a significant number of patients. Alcuronium is a relatively short acting muscle relaxant. Always remember this